Fat necrosis is classically seen in:
1. Heart
2. Brain
3. Lungs
4. Breast

Correct answer: 4. Breast

Explanation: Breast